Drug of choice in Absence Seizure
1. Carbamazepine
2. Phenytoin
3. ACTH
4. Ethosuximide

Correct answer: 4. Ethosuximide

Explanation: Ethosuximide is the drug of choice in Absence seizures. Ethosuximide: Ethosuximide (Zarontin), a succinimide, has been considered an effective agent for the treatment of absence seizures since the mid-20th century.Although ethosuximide's mechanism of action is not fully understood, the blockade of a specific voltage-gated calcium channel (the T channel) in thalamic neurons appears integral to its antiepileptic activity. This blockade suppresses thalamic excitability, which is thought to be necessary for sustaining the characteristic spike-wave discharge of absence seizures. Serious adverse events linked to ethosuximide include agranulocytosis, aplastic anemia, pancytopenia, Stevens-Johnson syndrome (SJS), and systemic lupus erythematosus; however, these occur rarely and the medication is generally well tolerated. Reference: GHAI Essential pediatrics, 8th edition